Following Is true regarding opening snap -
1. It is a high-pitched diastolic sound
2. It s due to opening of stenosed aortic valve.
3. It indicates pulmonary arterial hypertension.
4. It preceedes the aortic component of second heart sound,

Correct answer: 1. It is a high-pitched diastolic sound

Explanation: The high pitched opening snap (OS) of MS occurs after a very short interval after the second heart sound. The opening snap (OS) of the mitral valve is most readily audible in expiration at, or just medial to, the cardiac apex. This sound generally follows the sound of aortic valve closure (A 2 ) by 0.05-0.12 s. The time interval between A 2 and OS varies inversely with the severity of the MS. The OS is followed by a low-pitched, rumbling, diastolic murmur, heard best at the apex with the patient in the left lateral recumbent position. In general, the duration of this murmur correlates with the severity of the stenosis in patients with preserved CO. ( Harrison's principle of internal medicine,18th edition,pg no. 1931 )